The most common cause of hypoparathyroidism is:
1. Idiopathic
2. Familial
3. Postradiation
4. Surgical removal

Correct answer: 4. Surgical removal

Explanation: Surgical removal of the gland is the most common cause for hypoparathyroidism.